All are Incinerated except:-
1. Human anatomical waste
2. Animal waste
3. Infected solid waste
4. Broken thermometers

Correct answer: 4. Broken thermometers

Explanation: - Broken thermometers contain Mercury, its disposal is through recycling. INCINERATION: Temperature = > 1200oC. Principle = High temperature + Dry oxidation. Has Combustible matter > 60% ; Non-combustible solids < 0.5%; Non-combustible fines < 20% and moisture content <30%. Human anatomical wastes, animal wastes, solid waste, chemical waste/ discarded medicines etc. can be incinerated. Contraindications: PVC plastic waste. Pressurized waste. Heavy metal waste. Reactive chemical waste. Radio-active waste - sea burial is recommended.